Centre of air pollution control by WHO -
1. Hyberabad
2. Bombay
3. Nagpur
4. Kanpur

Correct answer: 3. Nagpur

Explanation: International action : To deal with air pollution on a world-wide scale, the WHO has established an international network of laboratories for the monitoring and study of air pollution. The network consists of two international centres at London and Washington, three centres at Moscow, Nagpur and Tokyo and 20 laboratories in various parts of the world . These centres will issue warnings of air pollution where and when necessary Ref: Park 25th edition Pgno : 774